Rapid diagnostic test for P. falciparum ustilizes which enzyme ?
1. HRP-2
2. SGOT
3. LDH
4. Peroxidase

Correct answer: 3. LDH

Explanation: Ans. is 'c' i.e., LDH Among the given options two are used in rapid diagnostic tests :HRF-2LDH Among these LDH is an enzyme while HRP-2 is a simple protein antigen.